An elderly male presents with history of dysphagia, regurgitation foul breath and cough. Bilateral Lung crepts are noted on examination. The most likely diagnosis is -
1. Shatzki Ring
2. Zenker's Diverticulum
3. Corkscrew Esophagus
4. Plummer-Vinson Syndrome

Correct answer: 2. Zenker's Diverticulum

Explanation: Features of Dysphagia, Halitosis (foul breath), regurgitation with cough and aspiration pneumonia (Bilateral Lung Crepts) suggests a diagnosis of Zenker's Diverticulum.